Cotton dust is associated w ith-
1. Byssinosis
2. Asbestosis
3. Bagassosis
4. Silicosis

Correct answer: 1. Byssinosis

Explanation: Ans. is 'a' i.e., Byssinosis BagassosisAnthracosis-Coal dustSilicosis-SilicaSiderosis-IronByssinosis-Cotton dustFarmer s lung-Hay or grain dustSequousis-Moldy red wood sun- dustSuberosis-Moldy cork dustDetergent worker s lung-Enzyme additivesBaggassosis-Sugarcane dust